Which one of the following possesses a distinct internal elastic lamina?
1. Capillary
2. Metarteriole
3. Arteriole
4. Muscular artery

Correct answer: 4. Muscular artery

Explanation: The muscular artery possesses a distinct internal elastic lamina. Elastic arteries possess an incomplete internal elastic lamina. Capillaries, arterioles, metarterioles, and veins do not possess an internal elastic lamina Structure of a normal muscle artery